For a positively skewed curve which measure of central tendency is largest
1. Mean
2. Mode
3. Median
4. All are equal

Correct answer: 1. Mean

Explanation: A distribution is negatively skewed, or skewed to the left, if the scores fall toward the higher side of the scale and there are very few low scores. In positively skewed distributions, the mean is usually greater than the median, which is always greater than the mode. Ref :